Galeazzi fracture is -
1. Fracture distal 1/3 radius with DRUJ subluxation
2. Fracture proximal 1/3 radius with DRUJ subluxation
3. Fracture distal 1/3 radius without DRUJ subluxation
4. Fracture proximal 1/3 radius without DRUJ subluxation

Correct answer: 1. Fracture distal 1/3 radius with DRUJ subluxation

Explanation: Ans. is 'a' i.e., Fracture distal 1/3 radius with DRUJ subluxation o Galeazzi fracture dislocation is fracture of distal third of radius with dislocation or subluxation of inferior (distall radio-ulnar joint. It is also called as Reverse monteggia. o It occurs due toFall on an outstretched hand with marked pronation of the forearm.Direct blowr on the dorsolateral side of the forearm.Treatmento Closed reduction is usually not successful due to the deforming forces of the muscles,o Hence, open reduction and internal fixation is the preferred method of treatment.